Hassall's corpuscle is present in:
1. Tonsil
2. Thymus
3. Spleen
4. Lymph node

Correct answer: 2. Thymus

Explanation: Ans. B. ThymusHassall's corpuscles are structures found in the medulla of the human thymus, formed from eosinophilic type VI epithelial reticular cells arranged concentrically. These concentric corpuscles are composed of a central mass, consisting of one or more granular cells, and of a capsule formed of epithelioid cells.